All are seen in drowning except -
1. Miosis
2. Wet heavy lungs
3. Water and weeds in stomach and lung
4. Froth from mouth

Correct answer: 1. Miosis

Explanation: There is dilatation of pupil/mydriasis (not miosis).